Crown formation of all permenent teeth except third molars is completed between
1. Birth to 8 years
2. Birth to 12 years
3. Birth to 6 years
4. 6 years to 12 years

Correct answer: 1. Birth to 8 years